An elderly female presents with recurrent swelling of the upper eyelid. further examination revealed it to be a chalazion. what would be most common histopathological finding?
1. Lipogranuloma
2. suppurative granuloma
3. Foreign body granuloma
4. Xanthogranuloma

Correct answer: 1. Lipogranuloma

Explanation: Chalazion is a Lipogranulomatous inflammation of the meibomian gland.